Calcification is best detected by -
1. X-ray
2. USG
3. CT scan
4. MRI

Correct answer: 3. CT scan

Explanation: Calcification is best detected by CT scan.